Starch is considered to be less cariogenic than monosaccharides and disaccharides because it
1. Does not diffuse through plaque
2. Is rapidly hydrolysed in the mouth
3. Enhances remineralisation
4. Raises the pH in the oral cavity

Correct answer: 1. Does not diffuse through plaque